Which of the following is not an inhalational steroids?
1. Beclomethasone
2. Betamethasone
3. Budesonide
4. Fluticasone acetonide

Correct answer: 2. Betamethasone

Explanation: Ans. is 'b' i.e., Betamethasone * Corticosteroid may be used as inhaled or systemic drugs is asthma :A) Inhaled steroids# These are glucocorticoids with high topical and low systemic activity. Commonly used drugs are beclomethasome, budesonide, fluticasone and ciclesonide. Inhaled steroids are the most effective antiinflammatory agents used in asthma.# Inhaled steroids are not considered necessary for patients with mild and episodic asthma. They are indicated when inhaled b2-agonists are required almost daily or the disease is only episodic.Ihey have no role during acute attack or in status astmaticus.# Ciclesonide is known as soft steroid, i.e. steroid with high topical and negligible systemic effect. It is metabolized by enzymes in lung and therefore has least risk of systemic toxicity when given by inhalational route.# Inhaled steroids are safe during pregnancy. Common side effect of inhaled steroid is oropharyngeal condidiasis.B) Systemic steroids# Are used in severe chronic asthma and status asthmaticus (acute asthma exacerbation).